The processing of short term memory to long term memory is done in:
1. Prefrontal cortex
2. Hippocampus
3. Neocortex
4. Amygdala

Correct answer: 2. Hippocampus

Explanation: Bilateral destruction of hippocampus leads to anterograde amnesia. The patients will be capable of new learning and retain old pre-lesion memories, but they cannot form new long-term memories. Conversion of short-term memory into long-term memory will not take place.